All are germ cell tumors except -
1. Seminoma
2. Leydig cell tumor
3. Embrional carcinoma
4. Endoderma sinus

Correct answer: 2. Leydig cell tumor

Explanation: I. Germ cell tumors A. Seminomatous tumors 1. Seminoma 2. Spermatocytic seminoma 3. Anaplastic seminoma B. Non-seminomatous tumors 1. Embryonal carcinoma 2. Yolk sac (endodermal sinus) tumor 3. Choriocarcinoma C. Teratoma Mature Immature Teratoma with malignant transformation D. Mixed germ cell tumors II. Sex cord-stromal tumors A. Leydig cell tumor B. Sertoli cell tumor Ref: RAM DAS NAYAK EXAM PREPARATORY MANUAL FOR UNDERGRADUATES 2nd ed. pg no: 650